Which of the following is not true of acute PSGN (Post Streptococcal glomerulonephritis)?
1. Electron dense humps on GBM
2. PSGN following streptococcal skin infection will usually show ASLO titre positive
3. Renal biopsy is indicated if prolonged hypocomplementemia persists beyond 2 months
4. C3 is low in acute phase returns to normal in 6 - 8 weeks

Correct answer: 2. PSGN following streptococcal skin infection will usually show ASLO titre positive

Explanation: In PSGN, ASO titer is increased in more than 80% patients following streptococcal sore throat; anti-DNase B is elevated in cases of streptococcal skin infection. The level of serum C3 is low in 90% patients but normalizes by 6 - 8 weeks. Persistent low C3 levels indicate other forms of GN and requires renal biopsy On electron microscopy, electron-dense deposits, or "humps," are observed on the epithelial side of the glomerular basement membrane